keratin filled cysts along the midpalatine Raphe of the newborn:
1. Epstein pearl
2. Bohn's nodule.
3. Median palatine cyst.
4. Eruption cyst of newborn.

Correct answer: 1. Epstein pearl